A Radionucleide scan finding in hyperparathyroidism?
1. Cold spots
2. Hot spots
3. Panda sign
4. Hawkin's sign

Correct answer: 2. Hot spots

Explanation: Super scan Resembles normal bone scan but kidney is not visible Seen with Renal Failure Difffuse metastatic disease Diffuse metabolic bone disease like Hyperparathyroidism In active hyperparathyroidism, a superscan of generalized increased activity(Hot spot) is seen on technetium bone scan.